Most common tumor of liver found incidentally in healthy individuals is -
1. Hemangioma
2. Adenoma
3. Lymphoma
4. Hamartoma

Correct answer: 1. Hemangioma

Explanation: Ans. is 'a' i.e., Hemangioma [Ref: Clinical hepatology: principles and practice of hepatology, volume 1 by* Hemangiomas are the most common benign liver tumors and occur two to six times more commonly in women.* Most of the hemangiomas of liver are found incidentally in asymptomatic individuals.